The magnification obtained with a direct ophthalmoscope is –
1. 5 times
2. 10 times
3. 15 times
4. 20 times

Correct answer: 3. 15 times

Explanation: Image on direct ophthalmoscopy → Erect, virtual, 15 times magnified